Patch test is done to document:
1. Type I hypersensitivity
2. Delayed type hypersensitivity
3. Autoimmune disease
4. Immunocomplex deposition

Correct answer: 2. Delayed type hypersensitivity

Explanation: Delayed type hypersensitivity